Investigation of choice for choanal atresia
1. X - ray
2. MRI
3. USG
4. HRCT

Correct answer: 4. HRCT